All are radiological sign of Vit C deficiency except –
1. White line of frenkel
2. Wimberger line
3. Osteoporosis of bone
4. Widening of epiphysis

Correct answer: 4. Widening of epiphysis